Cart Wheel sign is seen in
1. ASOM
2. AOM
3. OME
4. CSOM

Correct answer: 1. ASOM

Explanation: In a stage of pre-suppuration of ASOM, there is congestion of pars tensa. A leash of blood vessels appears along with the handle of malleus and at the periphery of tympanic membrane imparting it a cart-wheel appearance. Later, whole tympanic membrane including pars flaccid becomes uniformly red. Ref: Textbook of diseases of ENT, PL Dhingra, 7th edition, pg no. 67